Regarding HRCT, all are true except -
1. Means high reconstruction CT imaging
2. Has narrow beam collimation
3. Investigation of choice for interstitial lung disease
4. Has small field of vision

Correct answer: 1. Means high reconstruction CT imaging

Explanation: HRCT means High Resolution CT Principles of HRCT : Thin collimation (1-2 mm) High frequency reconstruction algorithm (Eg : Bone algorithm).